False statement about impetigo
1. Mostly caused by staphylococcus or streptococcus or both
2. It predisposes to glomerulonephritis
3. Produces scar on healing
4. All

Correct answer: 3. Produces scar on healing

Explanation: C i.e. Produce scar on healing